Exhumation is done following court order. Only skull bone was found with basiocciput fused with basisphenoid. What is the approximate age?
1. 18-21 years
2. 40-50 years
3. 70 - 80 years
4. 6-7 years

Correct answer: 1. 18-21 years

Explanation: Ans: (a) 18 - 21 yearsRef: Rajesh Bard ale, Principles of Forensic Medicine and Toxicology, 1st edition, Page 93 8.Age estimation in skull is done based on the fusion of the sutures as follows:2 yearsMetopic suture18-21 yearsBaso-occiput Baso-sphenoid suture30-40 yearsPost. 1/3rd of Sagittal suture40-50 yearsAnt. 1 /3rd of Sagittal suture Inferior 1/2 of Coronal suture50-60 yearsMiddle 1/3rd of Sagittal suture Superior 1/2 of Coronal suture Medial 1/2 of Lamboid suture60-70 yearsLateral 1/2 of Lamboid sutureAlso Note:Fusion of sutures occurs in decades.Reliability of suture closure - Sagittal>Lamboid>Coronal.Fusion of sutures occurs earlier in males compared to females (C.l. Fusion of long bones occur earlier in females).